Why are the following vaccine vials coloured?
1. For easy recognition of these vaccines
2. Because they are live vaccines
3. Because these vaccines are light sensitive vaccines
4. Because thes vaccines are darker in colour

Correct answer: 3. Because these vaccines are light sensitive vaccines

Explanation: Light sensitive vaccines: - These vaccine lose their potency if exposed to bright light - Thus, these vaccines are packed in dark brown glass for protection - BCG, Measles, JE, Rotavirus are light sensitive vaccines